Least dangerous in pregnancy?
1. Ebstein's anomaly
2. Pulmonary hypertension
3. Cyanotic heart disease
4. Marfan syndrome

Correct answer: 1. Ebstein's anomaly

Explanation: (Refer: William's Obstetrics, 23rd edition, pg no: 280, 281)(Refer: Mudaliar and Menon's Clinical Obstetrics, 11th edition, pg no- 237)